Surgical gloves are disposed in which BMW category ?
1. yellow
2. red
3. white
4. blue

Correct answer: 2. red

Explanation: Cat. Type of Bag/ container used Type of waste Treatment/ Disposal options Yellow Non-chlorinated plastic bags Separate collection system leading to effluent treatment system a)Human Anatomical Waste b)Animal Anatomical Waste c)Solid Waste d)Expired or Discarded Medicines e)Chemical Waste f)Micro, Bio-t and other clinical lab waste g)Chemical Liquid waste Incineration or Plasma pyrolysis or deep burial* Red Non-chlorinated plastic bags or containers Contaminated Waste (Recyclable) tubing, bottles, intravenous tubes and sets, catheters, urine bags, syringes (without needles) and gloves Autoclaving, microwaving/ Hydroclaving and then sent for recycling not be sent to landfill White (Translucent) Puncture, Leak, tamper proof containers Waste sharps including Metals Auto or Dry Heat Sterilization followed by shredding or mutiation or encapsulation Blue Cardboard boxes with blue colored marking Glassware Disinfection or autoclaving, microwaving, hydroclaving and then sent for recycling